Erythropoietin production is inhibited by ?
1. Estrogen
2. Progesterone
3. Thyroxine
4. Testosterone

Correct answer: 1. Estrogen

Explanation: Ans. is 'a' i.e., EstrogenThe most important stimulus for erythropoietin secretion is hypoxia.Other stimulus that can increase its secretion are cobalt salts, androgens, alkalosis due to high altitude, and catecholamines beta-adrenergic mechanism.